The oxidation of 1 mol of the C16 fatty acid, palmitate, generates how many ATP molecules?
1. 112
2. 108
3. 106
4. 120

Correct answer: 3. 106

Explanation: Total ATP formed (mol)/mol palmitate - 108
Total ATP used (mol)/mol palmitate – 2
 Net  ATP generated - 106